The increased risk of pyelonephritis is in pregnancy is due to which of the following factors
1. Statis of urine
2. Asymptomatic bacteriuria
3. Abnormality in renal tract
4. All of the above

Correct answer: 4. All of the above